% of children with Simple Febrile seizure developing Epilepsy is
1. 1-2%
2. 2-5%
3. 5-10%
4. 10-15%

Correct answer: 1. 1-2%

Explanation: Only 1-2% of children are developing simple febrile seizures The Risks For Developing Epilepsy : Problems with the child's development before the febrile seizure Having or complicated febrile seizures that last longer than 15 minutes, more than one seizure in 24 hours, or seizures in which only one side of the body is affected Seizures without fever in a parent or a brother or sister If the child has none of these risk factors, the chances of epilepsy developing later are only 1% to 2% (1 or 2 out of 100). This is very similar to the risk of developing epilepsy in any other child. Children with 1 of these risk factors have a 2.5% (1 in 40) chance of later epilepsy. For children with 2 or 3 risk factors, their chance of developing epilepsy later ranges from 5% (1 in 20) to over 10% (greater than 1 in 10). In rare cases, febrile seizures that last more than 30 minutes may cause scar tissue in the temporal lobe of the brain. In some of these children, chronic epilepsy develops. Reference: GHAI Essential pediatrics, 8th edition